Polyol pathway is responsible for formation of
1. Fructose from glucose
2. Galactose From Fructose
3. Galactose From Glucose
4. Glucose From Fructose

Correct answer: 1. Fructose from glucose

Explanation: Polyol pathway is responsible for the formation of fructose from glucose Fig: The sorbitol (polyol) pathway